Anti-glaucoma drug use to increase uveoscleral outflow is
1. Acetazolamide
2. Pilocarpine
3. Latanoprost
4. Timolol

Correct answer: 3. Latanoprost

Explanation: (Refer: Parson's, 21st edition, pg no: 154,155)